The eye in the newborn is:
1. Hypermetropic with regular astigmatism
2. Hypermetropia
3. Hypermetropic with irregular astigmatism
4. Myopia

Correct answer: 2. Hypermetropia

Explanation: At birth, eye is hypermetropic by +2 to +3D and usually becomes emmetropic by the age of 5 to 7 years This is because of smaller eyeball Eyeball length at birth is 16mm.